Which of the following condition is associated with recurrent bilateral hypopyon formation associated with thrombophlebitis?
1. Syphilis
2. Herpes Zoster
3. Behcet's syndrome
4. HLA B 27 associated uveitis

Correct answer: 3. Behcet's syndrome

Explanation: Behcet's syndrome